Baby born prematurely at 29 wks on examination at 42wks with ROP both eyes shows stage 2 zone 1 'plus' disease, how will u manage the patient?
1. Examine the patient after 1 week
2. Laser photocoagulation of both eyes
3. Laser photocoagulation of worse eye, follow up of other eye
4. Vitreoretinal surgery

Correct answer: 2. Laser photocoagulation of both eyes

Explanation: Laser photocoagulation of both eyes